The best alternative storage medium for avulsed teeth in
case culture media are not available is
1. Milk
2. Water
3. Saline
4. Blood

Correct answer: 1. Milk